Apple jelly nodules on diascopy is seen in:
1. Lupus vulgaris
2. Tinea versicolor
3. Erythrasma
4. Vitiligo

Correct answer: 1. Lupus vulgaris

Explanation: Ans: A (Lupus vulgaris)Ref: Principles of Diagnosis in Dermatology. In: Thappa DM. editor. Essentials in Dermatology, 2nd edn., New Delhi: Jay pee Brothers Medical Publishers (P) Ltd 2009:16-30Explanation:Lupus VulgarisIt is a type of progressive cutaneous tuberculosisOccurs in people with moderate to high immunitySingle plaque composed of grouped redbrown papules with peripheral extension on one side and scarring on the otherside.On diascopy of active edge-translucent pale brownish yellow or apple jelly colour in the periphery-apple jelly nodules- granulomatous nodulesDiascopv/vitropression:- Compression with a glass slide- Differentiating purpura (no blanching) from erythema (blanches)- Differentiating nevus anemicus (margins blurred) from nevus depigmentosus (no change)